Coronary blood flow to the left ventricle increases during all Except
1. Early systole
2. Myocardial hypoxia
3. Stimulation of sympathetic nerves of the heart
4. Arterial hypertension

Correct answer: 1. Early systole

Explanation: During early systole, coronary blood flow falls as coronary vessels are compressed by the contracting myocardium.A fall in PO2 has a potent vasodilator effect on coronary vessels. Adenosine released from hypoxic myocardium is also a potent vasodilator.Sympathetic stimulation increases the rate and force of contraction; the resulting increase in the rate of production of vasodilator metabolites dilates coronary vessels.Myocardial work and metabolism are increased in hypertension.Ref: Guyton; 13th edition